Contents of mesorectum are of except
1. Inferior rectal vein
2. Superior rectal vein
3. Pararectal node
4. Inferior mesenteric plexus

Correct answer: 1. Inferior rectal vein

Explanation: Mesorectum is enclosed by mesorectal fascia which is derived from the visceral peritoneum, and is also known as visceral fascia of mesorectum, fascia propria of rectum or presacral wing of hypogastric sheath Upper rectum is derived from the embryological hind gut, it is surrounded by mesorectum and its contents namely superior rectal artery and its branches, superior rectal vein and tributaries, lymphatic vessels and nodes along superior rectal artery, branches from inferior mesenteric plexus to innervate rectum and loose adipose connective tissue down to the level of levator ani (pelvic floor). (Reference : I B Singh's Embryology, 10th edition)